Scarlet fever is caused by?
1. Streptococci
2. Staphylococci
3. Klebsiella
4. Proteus

Correct answer: 1. Streptococci